Commonest site of hypertensive intracerebral bleed is?
1. Pons
2. Putamen
3. Frontal love
4. Thalamus

Correct answer: 2. Putamen

Explanation: The putamen is a common site of hypertensive cerebral hemorrhage. Such hemorrhages show a large range of possible presentations - from enormous hemorrhages involving the white matter of the hemispheres and the ventricular system, to cases occurring without causing any symptoms or neurological signs Ref Harrison20th edition pg 2345